Which one of the following formulae is used for computing the aedes aegypti index at international airports and sea po-
1. (Number of bits of aedes aegypti/Total number of man hour) x 100
2. (Number of houses positive for Aedes aegypti breeding/Total number of houses)x100
3. (Number of containers positive for Aedes aegypti breeding/Total number of containers)x100
4. Number of containers positive for Aedes aegypti breeding/Total number of houses)x100

Correct answer: 2. (Number of houses positive for Aedes aegypti breeding/Total number of houses)x100

Explanation: Aedes aegypti index is defined as the ratio expressed as a percentage between the number of houses in a limited well-defined area on the premises of which actual breeding of Aedes aegypti are found and the total number of houses examined in that area Park's Textbook of Preventive and Social Medicine, 25th Edition, Pg